True about peripheral blood smear of plasmodium vivax?
1. Single ring with cytoplasm condensed around in each erythrocyte
2. Mature /old erythrocytes affected
3. Parasitized erythrocytes of same size as normal erythrocytes
4. Only ring and gametocytes are seen

Correct answer: 1. Single ring with cytoplasm condensed around in each erythrocyte

Explanation: Ans. is 'a' i.e.,Single ring with cytoplasm condensed around in each erythrocyte